Nasopharyngeal leishmaniasis is caused due to?
1. Leishmania brazilensis
2. Leishmania tropica
3. Leishmania chagasis
4. Leishmania donovanii

Correct answer: 1. Leishmania brazilensis

Explanation: mucocutaneous leshmaniasis or espundia caused by L.braziliensis complex cause extensive ulceration in lower extremities after months to years nasopharynx is affected causes painful mutilating erosions TEXTBOOK OF MEDICAL PARASITOLOGY,BAVEJA,3RD EDITION,PAGE NO 44